Which of the following statement about Standard Distribution curve is true?
1. Mean = 2 Median
2. Mean = Median
3. Median = Variance
4. Standard Deviation = 2 Variance

Correct answer: 2. Mean = Median

Explanation: The standard distribution curve (Normal distribution) is a perfectly symmetrical, bell shaped curve such that the mean, median and mode, all have the same value and coincide at the centre. Mean is obtained by adding individual observations and then divided by the number of observations. Median is obtained by arranging the data in ascending or descending order of magnitude and then the value of the middle observation is located which is called the median. Mode is the most frequently occurring value. Ref: Park's Textbook of Preventive and Social Medicine, By K. Park, 19th Edition, Pages 699-702